Police inquest is A/E -
1. Senior head constable can investigate
2. Most common inquest
3. Panchnama has to be signed by IO
4. IO may not summon

Correct answer: 4. IO may not summon

Explanation: The investigating officer may summon the person.
The investigating officer is at the rank of head-constable or above (usually a sub-inspector).
Panchnama is signed by investigating officer and witness.
Police inquest is the most common type of inquest in India.